Febrile seizure most common - age groups?
1. 1 month to 1 year
2. 6 month to 5 year
3. 6 month to 2 year
4. 2 month to 5 year

Correct answer: 2. 6 month to 5 year

Explanation: Ans. is 'b' i.e., 6 month to 5 year Febrile convulsion :- Commonest provoked seizure Between 6 months to 5 year Neurologically normal child Occurs when temp rise abruptly Simple benign febrile convulsion Fits occur within 24 hour of onset of fever. Duration less than 10 min. Usually single per febrile episode Generalised type of convulsion Atypical febrile seizures Presence of family history of epilepsy Neurodevelopmental retardation Focal neurological deficit.